On upper GI endoscopy, "watermelon stripes" is seen in which of the following condition?
1. Chronic gastric varices
2. Carcinoma stomach
3. Antral vascular ectasia
4. Dieulafoy lesion

Correct answer: 3. Antral vascular ectasia

Explanation: Gastric antral vascular ectasia (GAVE) It is cause of acute or chronic gastrointestinal blood loss. GAVE is responsible of about 4% of non-variceal upper GI haemorrhage. On endoscopy, characteristic pattern of longitudinal stripes of edematous, erythematous mucosa that alternate with less severely injured, paler mucosa ("watermelon stripes"/watermelon stomach). Erythematous stripes are created by ectatic mucosal vessels. Clinical features include acute gastrointestinal bleeding, chronic anemia, vomiting of blood